Dental lamina is active up to:
1. 1 year
2. 2 years
3. 4 years
4. 5 years

Correct answer: 4. 5 years

Explanation: Even after 5 years, it may be active in 3rd molar area after it has disappeared elsewhere. Remnants of dental lamina persist as epithelial pearls or islands within the jaws and gingiva.